Circadian rhythm is controlled by:
1. Suprachiasmatic nuclei
2. Hypothalamus
3. Thalamus
4. Pineal gland

Correct answer: 1. Suprachiasmatic nuclei